Myositis Ossificans is an example for:
1. Metaplasia
2. Hyperplasia
3. Hypertrophy
4. Both hypertrophy and hyperplasia

Correct answer: 1. Metaplasia

Explanation: Connective tissue metaplasia is the formation of cartilage, bone, or adipose tissue (mesenchymal tissues) in tissues that normally do not contain these elements. For example, bone formation in muscle, designated myositis ossificans, occasionally occurs after intramuscular hemorrhage. This type of metaplasia is less clearly seen as an adaptive response, and may be a result of cell or tissue injury. Commonest example of connective tissue Metaplasia:Myositis Ossificans. Commonest example of epithelial tissue metaplasia:Smokers lungs Metaplasia: Reversible change (Benign entity). If stress persist: Metaplasia-Dysplasia-Cancer.